Ketamine is safe in –
1. Raised ICT
2. Open eye injury
3. Ischemic heart disease
4. Severe shock

Correct answer: 4. Severe shock

Explanation: Ketamine increases cardiac output and blood pressure → Intravenous anaesthetic of choice in shock.